All of the following are contents-of the spermatic cord EXCEPT:
1. Ductus deferens
2. Testicular artery
3. Pampiniform plexus of veins
4. Ilioinguinal nerve

Correct answer: 4. Ilioinguinal nerve

Explanation: Ans. (d) Ilioinguinal nerveA simplified description of the contents of spermatic cord in the male are:* 3 Arteries: Cremasteric artery, deferential artery, testicular artery* 3 Nerves: Genital branch of the genitofemoral nerve (Ll/ 2), autonomic and visceral afferent fibres. PLS REMEMBER ilioinguinal nerve is outside the spermatic cord but travels next to it.* 3 Fascial layers: External spermatic, cremasteric, and internal spermatic fascia.* 3 other structures: Pampiniform plexus of vein, Vas deferens (ductus deferens), Testicular LymphaticsClinical significance: The spermatic cord is sensitive to torsion, in which the testicle rotates within its sac and blocks its own blood supply. Testicular torsion may result in irreversible damage to the testicle within hours. A collection of serous fluid in the spermatic cord is named 'funiculocele'.The contents of the abdominal cavity may protrude into the inguinal canal, producing an indirect inguinal hernia.